Supraspinatus injury leads to which of the following:
1. Frozen shoulder
2. Winging of scapula
3. Cannot abduct
4. Cannot adduct

Correct answer: 3. Cannot abduct

Explanation: Ans. (c) Cannot abductRef. Apley's System of Orthopaedics & Fractures, 8th ed. 281-82In case of supraspinatus injury, abduction is restricted.Function of Rotator Cuff Muscle* Supraspinatus: Assists deltoid in abduction of arm by fixing head of humerus against the glenoid cavity.* Infraspinatus & Teres minor: Laterally (externally) rotates arm & stabilizes the shoulder joint.* Subscapularis: Internal rotation